Epidemiological studies of H. pylori are done by using
1. Urea-breath test
2. Serological markers
3. Culture
4. Gastric-biopsy urease test

Correct answer: 2. Serological markers

Explanation: Answer is B (Serological markers) An enzyme linked immuno-sorhant assay (ELISA) is the most commonly used serological method. `Compared with endoscopic detection of H.Pyloric infection, ELISA has proved to be sensitive and specific and is particularly suited for Epidemiological studies'. Diagnostic Tests for Helicobacter pylori Test Sensitivity Comments Serology 95 Does not differentiate between active and remote infection; epidemi()Imjc too i ; titer decreases slowly after eradication Urease assay Breath Biopsy 90-95 90-98 Simple ; may be used to monitor therapy Requires endoscopy Histology Requires endoscopy; may be essential if antibiotic resistance emerges Culture 70-95 Requires endoscopy; may be essential if antibiotic resistance emerges